Cross resistance to macrolides is because:
1. Efflux of drug out of the cell by pump
2. Induction of enzyme that hydrolyzes macrolides
3. Methylation of 50s ribsome
4. None of the above

Correct answer: 3. Methylation of 50s ribsome

Explanation: Methylation of 50s ribosome can lead to cross resistance in macrolides, lincosamides and streptogrammins.